The parameters of sensitivity and specificity are used for assessing -
1. Criterion validity
2. Construct validity
3. Discriminant validity
4. Content validity

Correct answer: 1. Criterion validity

Explanation: Validity: Refers to what extent the test measures which it purports to measure (adequacy of measurement)
Validity has 2 components:

– Sensitivity
– Specificity

Types of Validity:

– Conclusion validity: Defines if there is a relationship between 2 variables
– Internal validity: Assuming relationship between 2 variables, defines if it is causal
1. Is free of bias
2. Valid conclusions can be drawn for individuals in a sample
– Construct validity: Assuming causal relationship between 2 variables, defines if our theory is best to our constructs
– External validity: Assuming causal relationship between 2 variables, defines if our theory can be generalized to the broader population
– Concurrent validity: Refers to the degree of correlation with other measures of the same construct measured at the same time
– Face (Logical) validity: Relevance of a measurement appear obvious
– Content validity: Measurement of all variable components
– Consensual validity: If no. of experts agree to a parameter
Criterion validity: If compared with a reference or gold standard.
1. Is best measure of validity
2. Usually expressed as sensitivity & specificity
– Discriminant validity: If not showing strong correlation between 2 variables.